Microorganism motile at 25deg C but not motile at 37deg C-
1. Listeria monocytogens
2. Campylobacter
3. Yersinia pestis
4. Streptococcus agalctiae

Correct answer: 1. Listeria monocytogens

Explanation: Ans. is 'a' i.e., Listeria monocytogens Listeria monocytogens exhibits characteristic, slow, tumbling motility when grown at 25degC but at 37degC it is non motile.